The following drug is available in the form of transdermal patch
1. Dexmedetomidine
2. Scopolamine
3. Atropine
4. Homatropine

Correct answer: 2. Scopolamine

Explanation: Scopolamine is used as transdermal patch for motion sickness .sticked in post-auricular region 30min before travel Ref: KDT 6th ed pg 114